In Postoperative room after thyroid surgery patient developed sudden respiratory distress. Dressing was removed and it was found to be slightly blood stained and wound was bulging. What will first thing to be done?
1. Tracheostomy
2. Cricothyroidotomy
3. Laryngoscopy and intubation
4. Remove the stitch and take the patient to operation theatre

Correct answer: 4. Remove the stitch and take the patient to operation theatre

Explanation: Postoperative hematomas or bleeding may also complicate thyroidectomies and rarely necessitate emergency reoperation to evacuate the hematoma. Bilateral vocal cord dysfunction with airway compromises requires immediate reintubation and tracheostomy. Seromas may need aspiration to relieve patient discomfort. Ref: Lal G., Clark O.H. (2010). Chapter 38. Thyroid, Parathyroid, and Adrenal. In F.C. Brunicardi, D.K. Andersen, T.R. Billiar, D.L. Dunn, J.G. Hunter, J.B. Matthews, R.E. Pollock (Eds), Schwartz's Principles of Surgery, 9e.a.